Amongst the renal cystic diseases, the one that is autosomal recessive is:
1. Adult polycystic kidney disease
2. Childhood polycystic kidney disease
3. Medullary sponge kidney
4. Adult onset medullary cystic disease

Correct answer: 2. Childhood polycystic kidney disease

Explanation: Disease Inheritance Pathologic Features Clinical Features of Complications Typical Outcome Diagrammatic Representation Adult polycystic kidney disease Autosomal dominant Large multicystic kidneys Liver cysts Berry aneurysms Hematuria, Flank pain, Urinary tract infection, Renal stones, Hypertension Chronical renal failure (40-60 years) Childhood polycystic kidney disease Autosomal recessive Enlarged, cystic kidneys at birth Hepatic fibrosis Variable, death in infancy or childhood Medullary sponge Sidney None Medullary cysts Hematuria, urinary tract infection, recurrent renal stones Benign Familial juvenile nephronophthisis Autosomal recessive Corticomedullary cysts, Shrunken kidneys Salt wasting, Polyuria, Growth retardation, Anemia Progressive renal failure beginning in childhood